True about global warming is-
1. CO2 is the major greenhouse gas
2. Stratosphere ozone layer is harmful
3. CFC increases stratosphere ozone layer
4. Kyoto protocol called for 20% reduction in green house effect

Correct answer: 1. CO2 is the major greenhouse gas

Explanation: Ans. is 'a' i.e.. CO2 is the major green house gas Ozone lavers of atmosphere Stratosphere It is the highest level of ozone. It is spread b/w 10 km and 50 km above the Earth surface It contains 90% of ozone of the atmosphere Stratosphere is beneficial as it filters out the harmful ultraviolet rays from sun (option b) Troposphere It is the lower most atmospheric layer extending from the surface to 10 km (18 km at poles). The troposphere contains z 80% mass of atmosphere. The ozone present in this layer is an atmospheric pollutant & also produces green house effect In recent decades the amount of ozone in the stratosphere has been declining mostly because of emissions of CFCs and similar chlorinated & hrominated organic molecules (option c) Kyoto Protocol Kyto Protocol is a protocol intended to achieve 'Stabilization of greenhouse gas concentrations in the atmosphere at a level that would prevent dangerous ahropogenic interference with the climate system' o The Kyoto protocol establishes legally binding commitments for the reduction of 6 greenhouse gases (COs methane, nitrous oxide, sulfur hexafluoride, hydrnfluorocarbon, perj lurocarbons) by industrialized nations, as well as general commitments for all member countries. Under kyoto, industrialized countries agreed to reduce their collective Green house gas emission by 5.2% averaged over the period of 2008-2012, compared to year 1990.